Characteristic feature of viral pneumonias is ?
1. Interstitial mononuclear infiltration
2. Intra-alveolar proteinaceous exudate
3. Hyaline membrane lining alveoli
4. Fibrotic septa

Correct answer: 1. Interstitial mononuclear infiltration

Explanation: Ans. is 'a' i.e., Interstitial mononuclear infiltration The predominant histological pattern in case of viral penumonias is the interstitial nature of the inflammatory reaction virtually localized within the walls of the alveoli. The infiltrates are usually mononuclear cells such as -lymphocytes, histocytes, plasma cells